What should be the ideal pH and osmolarity of storage media respectively:
1. 7.4&320
2. 7.0&300
3. 6.8&280
4. 6.5&250

Correct answer: 1. 7.4&320